Supraomohyoid neck dissection includes removal of:
1. Level I - IV Lymph nodes
2. Level II - V Lymph nodes
3. Level I - III Lymph nodes
4. Level II - IV Lymph nodes

Correct answer: 3. Level I - III Lymph nodes